The best available medical therapy for radiation proctitis among the following is:
1. Formalin application
2. Sucralfate enema
3. 5-Aminosalicylic acid enema
4. Steroid enema

Correct answer: 2. Sucralfate enema

Explanation: Among the medical therapies Sucralfate enemas seem to be the best available "medical" therapy and are safe and well tolerated. Additional use of oral metronidazole may enhance this effect. Steroid enemas are less well tolerated and probably have lower efficacy. Formalin therapy is effective in up to 48%, High rate of Rectal pain, incontinence, diarrhea, formalin-induced colitis, anal and rectal strictures, rectal ulcerations, and rectal perforation. Hyperbaric oxygen therapy have an angiogenic effect and stimulate collagen formation and re-epithelialization. Aural barotrauma is the most common side effect Ref: World J Gastroenterol 2011 November 7; 17(41): 4554-4562.